Hunterian perforator is at
1. Upper thigh
2. Mid thigh
3. Lower thigh
4. Knee

Correct answer: 2. Mid thigh

Explanation: Ref: BD Chaurasia Human Anatomy vol 2 pg 125,127.